Acute renal failure results in?
1. Hyperkalemic alkalosis
2. Hypokalemic alkalosis
3. Hyperkalemic acidosis
4. Hypokalemic acidosis

Correct answer: 3. Hyperkalemic acidosis

Explanation: *AKI - Hyperkalemia acidosis *Dehydration/Vomiting - Hypokalemic alkalosis *Diarrhea - Hypokalemic acidosis